Hypokalemia is -
1. <3.5
2. <4.5
3. <5.6
4. <6.5

Correct answer: 1. <3.5

Explanation: Ans. is 'a' i.e., < 3.5 Serum potassiumo Normal-3.5 - 5.0 mmol'Lo Hypokalemia-<3.5o Hyperkalemia->5-6meq.'L